All of the following are seen in psoriasis except:
1. Auspitz sign present
2. 10% associated with arthritis
3. It is premalignant disease
4. Worsening of disease during winter

Correct answer: 3. It is premalignant disease

Explanation: C. i.e. Its premalignant disease